A child seven weeks of age presents with cough, RR-48/min, otherwise normal child false is
1. No role of antibiotics
2. Child has pneumonia
3. Child does not need resusciation
4. Fever should be treated

Correct answer: 2. Child has pneumonia

Explanation: According to Acute respiratory diseases control programme,pneumonia is charecterised by respiratory rate(RR/min) 60 or more -<2 months age 50 or more - 2-12months 40 or more -1-5 years. in the given case child is less than 2 months and respiaratory rate is45/min.so we cannot say child has pneumonia. Ref : ESSENTIAL PEDIATRICS,O.P.GHAI,7 th edition PG NO:356